PGF2 alpha maximum dose in PPH management which can be given over 24 hours is-
1. 250 mg
2. 200 mg
3. 2 mg
4. 20 mg

Correct answer: 3. 2 mg

Explanation: PGF2[?] is CARBOPROST 250 ug I.M. up to 8 doses and maximum dose is 2 mg given I.M. always ( i.v. can cause sudden hypertension )